The most common congenital defect of the face and jaws is
1. Macrostomia
2. Fetal alcohol syndrome
3. Cleft lip and palate
4. Ectodermal dysplasia

Correct answer: 3. Cleft lip and palate